Which Part of the fallopian tube which is most common site for female tubal sterilization?
1. Cornua
2. Ampulla
3. Isthmus
4. Infundibulum

Correct answer: 3. Isthmus

Explanation: Ans. C. Isthmus* For female tubal sterilization, Isthmus is said to be the most common site. It is the part of the fallopian tube which is sealed or cut in a sterilization procedure or tubal ligation.* The mid isthmic portion of the tube is grasped in the bipolar electrocoagulation technique.Additionally, radiofrequency electric current is applied to three adjacent areas and coagulating 3cm of tube. Hulka clips are also placed across the mid-isthmus.